Follicular dendritic cells, main function is -
1. Catches antigen and presents it to T cells
2. Catches antigen and presents it to B cells
3. Phagocytic activity
4. Produce immunoglobulins

Correct answer: 2. Catches antigen and presents it to B cells

Explanation: Answer- B. Catches antigen and presents it to B cellsA second type of cell with dendritic morphology is present in the germinal centers of lymphoid follicles in the spleen and lymph nodes and is called the follicular dendritic cells.Such cells play a role in humoral immune responses by presenting antigens to B cells and selecting the B cells that have the highest affinity for the antigen, thus improving the quality of the antibody produced.